Mallory - Weiss tear occurs at
1. Root of aorta
2. Oesophago gastric junction
3. Middle cerebral artery
4. Vertebro basilar artery

Correct answer: 2. Oesophago gastric junction